Drug used in alzheimer's disease are all EXCEPT:
1. Biperidin
2. Donepezil
3. Rivastigmine
4. Memantine

Correct answer: 1. Biperidin

Explanation: Ans. (a) BiperidinRef.: Harrison 19th ed. / 2601-02Alzheimer's disease is most common cause of dementia.Drugs Used in the Treatment of Alzheimer's are:* Acetycholine esterase inhiitors:# Donepezil# Tacrine# Galantamine* Rivastigmine: Carbamate derivative of physostigmine* Memantine: NMDA glutaminergic antagonist* Biperidin is an anti cholinergic drug used to treat parkinsonism.